Caffey's disease is -
1. Renal osteodystrophy
2. Infantile cortical hyperostosis
3. Osteomyelitis of jaw in children
4. Chronic osteomyelitis in children

Correct answer: 2. Infantile cortical hyperostosis

Explanation: Caffey's disease is also called as infantile cortical hyperostosis.